All of the following diuretics inhibit Na+-K+-2Cl- symporter, except:
1. Furosemide
2. Thiazide
3. Ethacrynic acid
4. Mersalyl

Correct answer: 2. Thiazide

Explanation: Ans. (B) Thiazide(Ref: KDT 8/e p628)*Thiazide diuretics inhibit Na+-Cl- symport at the luminal membrane of DCT.*All other options are loop diuretics.